The most important source of histamine
1. Mast cells
2. EOsinophils
3. Neutrophils
4. Macrophages

Correct answer: 1. Mast cells